Most common cause of postmenopausal bleeding is
1. Endometrial cancer
2. Endometrial polyps
3. Endometrial atrophy
4. Endometrial hyperplasia

Correct answer: 3. Endometrial atrophy

Explanation: Causes of Postmenopausal Uterine BleedingCausesPercentageEndometrial atrophy60-80Estrogen replacement therapy15-25Endometrial polyps2-12Endometrial hyperplasia5-10Endometrial cancer10Reference: Novak's gynaecology; 14th edition; Chapter 35; Uterine cancer